Treatment of malignant hyperthermia is
1. Propranolol
2. Halothane
3. Dantrolene
4. Nitrous oxide

Correct answer: 3. Dantrolene